Modified Ferriman Gallway score is used to Grade
1. Hirsuitism
2. Abnormal Uterine bleeding
3. PCOD
4. Gestational Trophoblastic Neoplasia

Correct answer: 1. Hirsuitism

Explanation: Modified Ferriman-Gallwey score is the most common method for grading the extent of hirsutism in clinical investigation. Scores hair growth from 0-4 in each of 9 androgen-sensitive areas, including the upper lip, chin, chest, upper and lower abdomen, upper arm, thighs, and the upper and lower back.Scores less than 8, 8-15, and greater than 15 generally indicate mild, moderate, and severe hirsutism, respectively. Approximately 95% of women have a modified Ferriman-Gallwey score less than 8. The frequency of self-treatment correlates positively with the Ferriman-Gallwey score.Reference: Clinical Gynecologic Endocrinology; 8th edition; Chapter 13; Hirsuitism